For international comparison, the WHO expert committee defines ‘still birth’ as birth of dead and under weight of fetus more than _____
1. 500
2. 2000
3. 1500
4. 1000

Correct answer: 4. 1000